A 4 year baby is having large face, large jaw, large ear and macro orchidism is
1. Mc Cuneal bright syndrome
2. Down's syndrome
3. Cri-du chat syndrome
4. Fragile X syndrome

Correct answer: 4. Fragile X syndrome

Explanation: A child with large face large ears large jaw and macro orchidism has fragile X syndrome It is due to a fragile site in one of the distal long arm of chromosome Xq27.3 Reference: Nelson TB of pediatrics pg 411 edition 19.